Which of the following drugs used to treat type II diabetes mellitus causes weight loss:
1. Metformin
2. Glimepiride
3. Repaglinide
4. Gliclazide

Correct answer: 1. Metformin